Inferior thyroid artery is related to
1. Superior laryngeal nerve
2. Recurrent laryngeal
3. Glossopharyngeal nerve
4. XII nerve

Correct answer: 2. Recurrent laryngeal

Explanation: The inferior thyroid artery is a branch of thyrocervical trunk. It runs first upwards then medially and finally downwards to reach the lower pole of the gland. During its course, it passes behind the carotid sheath and the middle cervical sympathetic ganglion; and in front of the thyroid vertebral vessels; and gives off branches to adjacent structures Its terminal parts is intimately related to the recurrent laryngeal nerve, while proximal part is away from the nerve. The artery divides into 4 to 5 glandular branches which pierce the fascia separately to reach the lower part of the gland. One ascending branch anastomoses with the posterior branch of the superior thyroid artery, and supplies the parathyroid glands. Ref BDC volume 3 :sixth edition :pg 143